Baby brought to mother with history of hair fall with boggy scalp hair easily pluckable. There was similar history 6 months back. What is the treatment:
1. Oral ketoconazole
2. Oral griseofulvin
3. Topical cotrimoxaxol
4. Intralesional steroid

Correct answer: 2. Oral griseofulvin

Explanation: Ans. b. Oral griesofulvinDOC for kerion (Tinea capitis) is oral griseofulvin